A 35-year-old lady with chronic backache. On X-ray she had a D12 collapse. But intervertebral disc space is maintained. All are possible except:
1. Multiple myeloma
2. Osteoporosis
3. Metastasis
4. Tuberculosis

Correct answer: 4. Tuberculosis

Explanation: Characteristic radiological feature of Pott's spine Obliteration of disk space with destruction of two adjacent vertebrae. Osteoporosis: Cod fish appearance is seen in which the disc bulges into the nearby vertebral bodies and the disc becomes biconvex. Multiple myeloma: Wedge collapse of the vertebra is seen and most of the time involving more than one vertebra, commonly in the thoracic spine. Metastasis: Well circumscribed. Can be sclerotic e.g prostrate ;osteolytic e.g. renal and thyroid or mixed e.g. breast and lung